In an uncomplicated case of alcohol withdrawal, the drug which can be given safely is
1. Benzodiazepines
2. Clonidine
3. Morphine
4. Disulfiram

Correct answer: 1. Benzodiazepines

Explanation: The usual duration of uncomplicated withdrawal syndrome is 7-14 days. The aim of detoxification isSymptomatic management of emergent withdrawal symptoms.The drugs of choice for detoxification are usually benzodiazepines. Chlordiazepoxide (80-200 mg/day in divided doses) and diazepam (40-80 mg/day in divided doses) are the most frequently used benzodiazepines. The higher limit of the normal dose range is used in delirium tremens. A typical dose of Chlordiazepoxide in moderate alcohol dependence is 20 mg QID (four times a day) on day 1, 15 mg QID on day 2, 10 mg QID on day 3, 5 mg QID on day 4, 5 mg BD on day 5 and none on day 6. However, in more severe dependence, higher doses are needed for longer periods (up to 10 days). These drugs are used in a standardised protocol, with the dosage steadily decreasing every day before being stopped, usually on the tenth day. Ref: A Short Textbook of Psychiatry, Niraj Ahuja, 7th Edition, pg. no.40